You are posted as an intern in causality. Which among the following patients with fracture will be your 1st priority to call ortho PG and inform?
1. Patients finger is blackening
2. Patient cannot extend his arm
3. A 10 cm abrasion
4. Intra-articular fracture of elbow joint

Correct answer: 1. Patients finger is blackening

Explanation: Ans. a. Patient s finger is blackening